The use of highly active anti-retroviral therapy is associated with the development of:-
1. Keratitis
2. Uveitis
3. Retinitis
4. Optic neuritis

Correct answer: 2. Uveitis

Explanation: HAART is given in AIDS patients, and has proved to be very effective in decreasing the viraemia and improving the CD count. Incidence of CMV retinitis is markedly decreased in such patients. But due to the improvement in the immunity, the patient starts developing uveitis.